Onus of proof in civil negligence case lies against doctor lies on
1. Doctor
2. Magistrate
3. Police
4. Patient

Correct answer: 4. Patient

Explanation: ref : narayana reddy